Which of the following electrolyte abnormalities is not seen in CRF:
1. Hypercalcemia
2. Hyperkalemia
3. Hyperphosphatemia
4. Hyperuricemia

Correct answer: 1. Hypercalcemia

Explanation: Answer is A (Hypercalcemia): Chronic Renal Failure is typically associated with Hypocalcemia. Hypocalcemia, Hyperphosphatemia and subsequently elevated PTH levels lead to renal osteodystrophy. Typical Electrolyte Abnormalities in Chronic Renal Failure Hyponatremia (Hypernatremia may be seen) Hypocalcemia Hyperkalemia Hyperphosphatemia Hyperuricemia Hypermagnesemia Hypokalemia is not common but may he seen and /IA nally reflects markedly reduced dietary potassium intake. Hypokalemiay also occur as a result of primary renal potassium ousting in association with solute transport abnormalities such as Fanconi's anemia. A etc.